All of the following factors stimulate GH secretion, EXCEPT:
1. Hypoglycemia
2. Exercise
3. Hyperglycemia
4. Stress

Correct answer: 3. Hyperglycemia

Explanation: Hyperglycemia is known to inhibit growth hormone secretion. Other factors which reduce growth hormone secretion are: REM sleep Cortisol FFA Medroxyprogesterone Growth hormone and IGF-I Factors which stimulate GH secretion are: Hypoglycemia 2-Deoxyglucose Exercise Fasting Increase in circulating levels of certain amino acids Protein meal Infusion of arginine and some other amino acids Glucagon Stressful stimuli Ref: Barrett K.E., Barman S.M., Boitano S., Brooks H.L. (2012). Chapter 18. The Pituitary Gland. In K.E. Barrett, S.M. Barman, S. Boitano, H.L. Brooks (Eds),Ganong's Review of Medical Physiology, 24e.